The wax "working bite" prior to functional appliance construction is made primary with the intention of
1. Providing a record of occlusion
2. Registering desired mandible position
3. To relax the jaw muscles
4. All of the above

Correct answer: 2. Registering desired mandible position

Explanation: Mechanism of action of working bite:

Displaces mandible from its rest position causing stretching of the muscles attached to mandible.
The reﬂex activity tends to restore mandible to a postural position that was determined by the unstretched muscles.
Most construction or working bites are taken at a vertical dimension beyond freeway space. This increases vertical dimension and also displace the mandible in the sagittal and transverse planes.